which of thefollowing is false REGARDING BELOW COMBINATIONS A=latismus dorsi - thoraco dorsal nerve B=radial nerve - extensor compartment of forearm C=axillary nerve - teres minor D=circumflex nerve - deltoid
1. A B
2. A ,B, C
3. A ONLY
4. none of the above

Correct answer: 4. none of the above

Explanation: ALL ARE BRANCHES OD POSTERIOR CORD OF BRACHIAL PLEXUS ALL SUPPLY TO THEIR RESPECTIVE MUSCLES AXILLARY NERVE OR CIRCUMFLEX NERVE SUPPLY TO TEREMINOR AND DELTOID